A cluster headache is characterized by all, except
1. Affects predominantly females
2. Unilateral headache
3. Onset typically in 20-50 years of life
4. Associated with conjunctival congestion

Correct answer: 1. Affects predominantly females

Explanation: A cluster headache is a rare, primary headache (0.1%)The pain is deep, retro-orbital, excruciating, non-fluctuating, and explosive in quality.Unilateral pain for 8 to 10 weeks a year, followed by a pain-free intervalMen are affected three times more often than women.Patients with a cluster headache become aggressive during attacks.Parasympathetic autonomic activation: Ipsilateral symptoms of cranial conjunctival injection or lacrimation, rhinorrhea or nasal congestion, or cranial sympathetic dysfunction such as ptosis.The sympathetic deficit is due to injury to ascending sympathetic fibers surrounding a dilated carotid artery as it passes into the cranial cavity.Ref: Harrison; 19th edition